Which of the following muscle is spared when radial nerve is injured in the radial groove?
1. Long head of triceps
2. Medial head of triceps
3. Lateral head of triceps
4. Anconeus

Correct answer: 1. Long head of triceps

Explanation: Long head of triceps is supplied by radial nerve before entering the radial groove. Medial head of triceps is supplied by the radial nerve before entering and while in the spiral groove. Lateral head of triceps is innervated by the radial nerve while in the groove.